Which of these is FALSE about hormonal variations during a normal menstrual cycle?
1. Estrogen inhibits FSH release and stimulates LH release
2. LH shows a biphasic response in follicular phase
3. FSH induces formation of LH receptors on granulosa cells
4. FSH secretion is inhibited by estrogen secreted from the growing follicle but stimulated by inhibin B

Correct answer: 4. FSH secretion is inhibited by estrogen secreted from the growing follicle but stimulated by inhibin B

Explanation: Rising estrogen levels (produced from the growing follicle) in the follicular phase, provide negative feedback on FSH secretion. Also , growing follicle produce inhibin B to suppress FSH secretion LH initially decreases in response to rising estradiol, but late in the follicular phase the LH levels increase dramatically (biphasic response). At the end of the follicular phase, just before ovulation, FSH induced LH receptors are present on granulosa cells and with LH stimulation modulate the secretion of progesterone